Least malignant thyroid cancer is:
1. Papillary carcinoma
2. Follicular carcinoma
3. Medullary carcinoma
4. Anaplastic carcinoma

Correct answer: 1. Papillary carcinoma

Explanation: Ans is 'a' i.e. Papillary Cancer Important points about thyroid malignancy :Least MalignantPapillary CaMost MalignantAnaplastic CaMC type of thyroid cancer after radiationPapillary Ca*Latent period for radiation induced thyroid CaAbout 30 yrs*Type of thyroid cancer assoc with MEN syndromeMedullary Ca*Thyroid Ca assoc with amyloidosisMedullary Ca*Thyroid Ca assoc with dystrophic calcificationPapillary*Psammoma bodies are seen inPapillary Ca*Orphan Annie-eyed nuclei are seen inPapillary Ca*Thyroid cancer occurring in longstanding multinodular goitreFollicular Ca*Carcinoma derived from the C cells of thyroidMedullary*